Which of the antiasthma medication is not a bronchodilator -
1. Salbutamol
2. Adrenaline
3. Na+ cromoglycate
4. Ipratropium bromide

Correct answer: 3. Na+ cromoglycate